Long-term secondary prevention following myocardial infarction is recommended with which one of the following drugs-
1. Antiplatelet drugs
2. Nitrates
3. Amiodarone
4. Calcium channel antagonist

Correct answer: 1. Antiplatelet drugs

Explanation: The hypothesis that more intensive long-term antiplatelet therapy reduces MACE in patients with prior MI has been demonstrated with P2Y12 inhibitors such as clopidogrel in CHARISMA, clopidogrel and prasugrel in the DAPT trial,1 and ticagrelor in Prevention of Cardiovascular Events in Patients With Prior Heart Attack Ref Davidson edition23rd pg 463